Gallow's traction is used for fracture:
1. Shaft femur
2. Neck femur
3. Shaft tibia
4. Tibial tuberosity

Correct answer: 1. Shaft femur

Explanation: Ans is 'a' i.e. Shaft femur Gallows traction is used for treatment of fracture shaft femur, in infants and children < 2 yrs of age.Weight must not be more than 12 kgs.Both the fractured and the normal femur are placed in skin traction and the infant is suspended by these from a special frame. The buttocks should be lifted just off the bed so that the weight of the body provides counter traction and the fracture is reduced.Russel's traction or Thomas splint is used for fracture shaft femur in older children.